Acanthosis Nigricans in old pt. Usually indicate –
1. Skin disorder
2. Malignancy
3. Senile brain
4. Usually found in negro

Correct answer: 2. Malignancy